RFLP, true are -a) Endonuclease cuts DNA at nucleotide levelb) It acts at specific sitec) Only cohesive ends are producedd) Only blunt ends are produced
1. ac
2. a
3. ad
4. ab

Correct answer: 4. ab

Explanation: RFLP uses restriction endonuclease enzyme which acts at specific site.
Restriction endonuclease cut DNA at specific nucleotide sequence.